Refrigerated blood stored up to 48 hours before transfusion can destroy which of the following
1. HIV
2. Hepatitis B
3. Treponema pallidum
4. Plasmodium vivax

Correct answer: 3. Treponema pallidum

Explanation: Treponema pallidum is killed in 1 to 3 days at 0-4degrees centigrade, so transfusion syphilis can be prevented by storing blood in the refrigerator before transfusion Stored frozen at -70deg C in 10% glycerol, or in liquid nitrogen (-130 deg C), it remains viable for 10-15 years. Ref: Textbook of microbiology; Ananthanarayan and paniker's; 10th edition; Pg:379